Fiouride cause inhibition of -
1. PDH
2. G6PD
3. Enolase
4. Pyruvatekinase

Correct answer: 3. Enolase